In prostate Ca. metastasis, lymph nodes most commonly affected are
1. Sacral LN
2. Obturator LN
3. Paraaortic LN
4. Iliac LN

Correct answer: 2. Obturator LN

Explanation: Obturator LN are first nodes involved in prostate Ca.